Trichomoniasisis is caused by:
1. Bacteria
2. Virus
3. Protozoa
4. Chlamydia

Correct answer: 3. Protozoa

Explanation: Ans. (c) ProtozoaRef.: Shows 15,h ed. /308-310TRICHOMONIASIS* Most common in clinical practice. Patients complain of pruritus.* Vulvae harbour this organism. Infection is sexually transmissible, it can be acquired.* It is not uncommon during pregnancy and is often associated with gonococcal infection.* The Trichomonas is a protozoan, actively motile and is anaerobic. Trichomonas vaginalis, is the type found in the vagina.Symptoms* 20% remain asymptomatic. 70% show profuse, thin, creamy or slightly green in colour, irritating and frothy discharge.* The vaginal walls are tender, angry looking and the discharge causes pruritus and inflammation of the vulva.* There are often multiple small punctate strawberry spots (strawberry vagina).* Urinary symptoms, such as dysuria and frequency, and a low-grade urethritis, Abdominal pain, low backache and dyspareunia may also be complained of if pelvic infection occurs.Diagnosis* The culture is 98% reliable. Trichomonas may also be diagnosed on a smear stained for cytology.Treatment* Metronidazole 200 mg oral TDS x 1 week both the partners* The recent modality of treatment is to shorten the duration of therapy by giving 2 g metronidazole for 1 day only.